All of the following are true about Cushing's syndrome, Except
1. Red striae
2. Increased adrenaline
3. Proximal muscle weakness
4. Edema

Correct answer: 2. Increased adrenaline

Explanation: Answer is B (Increased adrenaline): Cushing's syndrome results from an excessive amount of corticosteroids secreted from the adrenal cortex (outer part) of the adrenal gland. Adrenaline is secreted from the adrenal medulla (inner part) of the gland and is not raised in Cushing's syndrome. Increased adrenaline is a feature of adrenal medullary disorders like pheochromocytoma. Red striae may be seen in Cushing Syndrome Red or purplish 'violaceous' striae are typical of Cushing's syndrome -- William's Endocrinology Proximal muscle weaknes may be seen in Cushing's syndrome 'The myoputhy of Cushing's syndrome typically involves the proximal muscles of lower limbs or shoulder girdle' -- William's Endocrinology Edema may be seen in Cushing's syndrome Edema is seen in about 60% of patients with Cushing's syndrome. This is believed to result from mineralocorticoid action, because glucocorticoids in high concentrations have mineralocorticoid action.